Retrobulbar injection is given in -
1. Inside muscle cone
2. Outside muscle cone
3. Subtenon space
4. Subperiosteum

Correct answer: 1. Inside muscle cone

Explanation: It is given in the central space Central space : also called, muscular cone or retrobulbar space. It is bounded anteriorly by the Tenon's capsule lining back of the eyeball and peripherally by the four recti muscles and their intermuscular septa in the anterior part. In the posterior part, it becomes continuous with the peripheral space. Tumors lying here produces axial proptosis. Ref:AK Khurana 6thE pg 403